An 80-year-old lady develops CVA. She describes unrelenting pain on right side of the body as if somebody poured acid on her. Where is the lesion located?
1. Habenular commissure
2. Internal capsule
3. Pulvinar
4. Ventro-posterolateral nucleus

Correct answer: 4. Ventro-posterolateral nucleus

Explanation: Clinical presentation is of thalamic pain syndrome (Dejerine Roussy syndrome) occurs after infarction of the ventroposterolateral (VPL) thalamus.